Fungi that possess a capsule is-
1. Candida
2. Aspergillus
3. Cryptococcus
4. Mucor

Correct answer: 3. Cryptococcus

Explanation: Cryptococcus neoformans and Cryptococcus gattii possess large polysaccharide capsules. Capsule is primary virulence factor of Cryptococcus neoformans. Negative staining by modified India ink stain and nigrosin stain to demonstrate the capsule which appears as refractile delineated clear space surrounding the round budding yeast cells against black ground. figure :-cryptococcus with capule (india ink prepration) Candida, Aspergillus and Mucor do not have capsule.